Which of the following is the drug of choice in treating suicidal overdose of digitoxin ?
1. Digibind antibodies
2. Lignocaine
3. Magnesium
4. Potassium

Correct answer: 1. Digibind antibodies